Which is true regarding site of Meckel's diverticulum:
1. 2 feet proximal to ileocaecal valve on mesentric border
2. 2 feet distal to duodenojejunal flexure on antimesentric border
3. 2 feet distal to D-3 flexure on mesentric border
4. 2 feet proximal to ileococcal valve on antimesentric border

Correct answer: 4. 2 feet proximal to ileococcal valve on antimesentric border